Select the TRUE statement about vitamin B12:
1. Does not act as cofactor
2. Involved in the transfer of amino groups
3. Requires a specific glycoprotein for its absorption
4. Dietary requirement is met by intake of plant products

Correct answer: 3. Requires a specific glycoprotein for its absorption

Explanation: Option analysis:- Methyl cobalamine and 5'-deoxy adenosyl cobalamine are the coenzyme forms of vitamin B12 - option a is excluded. Vitamin B6 is involved in the transfer of amino groups, not B12 - option b is excluded. Dietary source (milk, curd, cheese, egg, liver, meat, fish) of B12 is exclusively of animal origin and there no plant source of vitamin B12 - option d is excluded Intrinsic factor (IF), also known as gastric intrinsic factor (GIF), is a glycoprotein produced by the parietal cells of the stomach. It is necessary for the absorption of B12 in the ileum - so, option c is the answer.